All of the following are tests to determine the stoppage circulation except -
1. Magnus's test
2. Diaphanous test
3. Icard's test
4. Mirror held in front of a nostril

Correct answer: 4. Mirror held in front of a nostril

Explanation: (a) Magnus test: Consists of tying a ligature tightly round the base of a finger, sufficient to cut off the venous channels without occluding the arteries. The finger remains white, if circulation has entirely ceased, otherwise the seat of the ligature is marked by a bloodless zone, and the portion beyond it becomes gradually blue and swollen. (b) Diaphanous Test: During life the webs of the fingers appear scarlet or very red and translucent, if the hand with the fingers abducted is held against a strong light, artificial or natural, while they appear yellow and opaque after death. (c) Icard's Test: The hypodermic injection of a solution of fiuorescin does not produce any discoloration of the skin, if circulation has stopped ; but it renders the neighbouring skin yellowish-green, if circulation is still going on. Ref: K.S.Narayan Reddy's Synopsis of Forensic Medicine and Toxicology, 29th edition,Chapter 7, page 82.